Leukotrienes cause all of the following, EXCEPT:
1. Vasodilation
2. Vasoconstriction
3. Increased vascular permeability
4. None of the above

Correct answer: 1. Vasodilation

Explanation: Principal Inflammatory Actions of Arachidonic Acid Metabolites (Eicosanoids) ACTION EICOSANOIDS Vasodilation PGI2 (prostacyclin), PGE1, PGE2, PGD2 Vasoconstriction Thromboxane A2, leukotrienes C4, D4, E4 Increased vascular permeability Leukotrienes C4, D4, E4 Ref: Robbins 8th edition Chapter 2.